According to Sigmund Freud, primary process thinking is:
1. Illogical and bizarre
2. Rational
3. Absent during sleep
4. Logical and unconscious

Correct answer: 1. Illogical and bizarre

Explanation: The primary process thinking is a characteristic of unconscious mind. It is illogical and aims for immediate wish fulfillment. It is illogical and contradictory